All of the following variables can predict survival in a patient with primary sclerosing cholangitis; except
1. Serum bilirubin level
2. Splenomegaly
3. Presence of AMA (Antimitochondrial antibody) in high titre
4. Histologic stage

Correct answer: 3. Presence of AMA (Antimitochondrial antibody) in high titre

Explanation: Primary sclerosing cholangitis
The prognosis is unfavorable, with a median survival of 9 to 12 years following the diagnosis, regardless of therapy.
Four variables (age, serum bilirubin level, histologic stage, and splenomegaly) predict survival.
The diagnosis is supported by a positive AMA test.
The presence of AMA in high titre is unrelated to the clinical or histologic picture.